The incision that is preferred for appendectomy for better cosmetic approach is:-
1. Rutherford morrison incision
2. Lanz incision
3. Mc ahur incision
4. Pfannentsial incsion

Correct answer: 2. Lanz incision